Peripheral smear of neonate with ABO incompatibility with show?
1. Microspherocytes
2. Elliptocytes
3. Fragmented RBCs
4. Polychromasis

Correct answer: 1. Microspherocytes

Explanation: Ans. is 'a' i.e., Microspherocytes Diagnosing ABO hemolytic disease o There is wide spectrum of severity in ABO hemolytic disease. Nevertheless this diagnosis generally should not be made unless there is a positive DAT & clinical jaundice within the first 12 to 24 hours. Reticulocytosis & the presence of microspherocvtes on the smear help to confirm the diagnosis. Criteria for diagnosing ABO hemolytic disease as the cause of neonatal hyperbilirubinemia Mother group 0, infant group A or B Positive DAT Jaundice appearing within 12 to 24 firs Microspherocytes on blood smear Negative DAT but homozygous for Gilbert's syndrome D.4T= Direct Antiglobulin Test or Coombs test